Which of the following is not a sign of successful stellate ganglion block?
1. Nasal stuffiness
2. Guttmansign
3. Horner's syndrome
4. Bradycardia

Correct answer: 4. Bradycardia

Explanation: Bradycardia is not an established sign of successful stellate ganglion block. Ref: Short Textbook of Anesthesia By Ajay Yadav, 2nd Edition, Page 113; Image-Guided Intervention By Matthew A. Mauro, Kieran Murphy, Kenneth Thomson, Christoph L. Zollikofer, 2008, Page 1741; Atlas of Image-Guided Intervention in Regional Anesthesia and Pain Medicine By James P. Rathmell, 2005, Page 115